Recurrent dislocation of shoulder joint occurs due to
1. Weakened and ruptured muscle
2. Damaged glenoid labrum
3. Reduced blood supply
4. Injury to rotator cuff

Correct answer: 2. Damaged glenoid labrum